As a general anaesthetic, halothane has the following advantages EXCEPT:
1. Very good analgesic action
2. Non-inflammable and non-explosive
3. Reasonably rapid induction of anaesthesia
4. Pleasant and non-irritating

Correct answer: 1. Very good analgesic action

Explanation: (Ref: KDT 6/e p372) Newer inhalationai anaesthetic agents like halothane, isoflurane etc. lack analgesic activity. All other advantages listed in the question are present in halothane.